According to the Glasgow Coma Scale (GCS), a verbal score of 1 indicates -
1. No response
2. Inappropriate words
3. Incomprehensible sounds
4. Disoriented response

Correct answer: 1. No response